During active labor, cervical dilatation per hour in primigravida is:
1. 1 cm/hour
2. 1.5 cm/hour
3. 1.7 cm/hour
4. 2 cm/hour

Correct answer: 1. 1 cm/hour

Explanation: Ans. A i.e. 1 cm/ hour Dilatation of the cervix at the rate of 1 cm/hour in primigravidae and 1.5 cm/hour in multigravidae beyond 3 cm dilatation (active phase of labor) is considered satisfactory